The main clinicalfeature of primary antiphospholipid syndrome is
1. Thrombosis
2. Vascular injury
3. Trauma
4. Bleeding disorder

Correct answer: 1. Thrombosis